Which of the gene is most often implicated in congenital cataract and alpha crystallin mutation?
1. GLC3A
2. PAX6
3. PITX2
4. CRYAA

Correct answer: 4. CRYAA

Explanation: CRYAA is implicated in congenital cataract and alpha crystallin mutation.